End product of porphyrin metabolism ?
1. Albumin
2. CO2 & NH2
3. Bilirubin
4. None

Correct answer: 3. Bilirubin

Explanation: Ans. is 'c' i.e., Bilirubin Heme is the most important porphyrin. It is degraded into bilirubin.